All are true about Autoimmune disease except -
1. T cells recognise self antigen
2. Hashimoto's thyroiditis is an example
3. Higher incidence among males
4. Polyclonal B cell activation

Correct answer: 3. Higher incidence among males

Explanation: Autoimmunity is a condition in which structural or functional damage is produced by the action of immunologically competent cells or antibodies against the normal components of the body. Some features include; elevated level of immunoglobulins. demonstrable autoantibodies. increased incidence among females . Reference : Anathanarayan & paniker's 9th edition, pg no:178